Opening of the nasolacrimal duct is in
1. Inferior meatus
2. Superior meatus
3. Middle meatus
4. Sphenoethmoidal recess

Correct answer: 1. Inferior meatus

Explanation: Ans. is 'a' i.e. Inferior meatus Openings in the lateral wall of nasal cavity *Inferior meatus : Nasolacrimal duct*Middle meatus : Anterior ethmoidal sinus*Frontal sinus*Maxillary sinus*Superior meatus : Posterior ethmoidal sinuses*Sphenoethmoidal recess : Sphenoid sinus*Note: that the nasolacrimal duct opens into the inferior meatus but if its blocked and a DCR (Dacryocystorhinostomy) operation is performed the new opening is in the middle meatus*